Long standing goitre leads to
1. Follicular carcinoma
2. Colloid carcinoma
3. Medullary carcinoma
4. Papillary carcinoma

Correct answer: 1. Follicular carcinoma

Explanation: Long standing goitre leads to cancer, usually follicular. Dominant or rapidly growing nodules in longstanding goitres should always be subjected to aspiration cytology. Reference: Bailey & Love's Short Practice of Surgery, 27th Edition, page no= 807.